The art of reinforcing good behaviour displayed by the
child with verbal praise applies the
1. Operant conditioning theory
2. Classical conditioning theory
3. Psychoanalytical theory
4. Social learning theory

Correct answer: 1. Operant conditioning theory